Cyclopropagative type of life cycle is seen in?
1. Cholera
2. Filaria
3. Plague
4. Malaria

Correct answer: 4. Malaria

Explanation: Malaria REF: Medical Entomology: A Textbook on Public Health and Veterinary Problems by Bruce F. Eldridge, John D. Edman Page 155 Vector mediated biological transmission: Propagative Parasite reproduce in vector but do not pass through developmental stages Viruses, rickettsia, bacteria Cyclopropagative Undergoes only developmental stages inside the vector Protozoans (Malaria, Trypanosomes ) Cyclodevelopmental Undergoes both reproduction and development inside the vector Filarial parasite Cyclodevelopmental Undergoes both reproduction and Filarial parasite development inside the vector